Diagnostic criteria for Bulimia nervosa are all EXCEPT
1. Binge Eating
2. Presence of other psychiatric disorders
3. Lack Of Control Over Eating Behaviour
4. Self Induced Vomiting

Correct answer: 2. Presence of other psychiatric disorders

Explanation: (B) Presence of other psychiatric disorders # BULIMIA NERVOSA (BN) is an eating disorder characterized by eating binges typically followed by efforts to purge calories through self-induced vomiting, laxative and/or diuretic abuse, prolonged fasting, or excessive exercise. Fear of weight gain leads to the characteristic purging behavior, but BN is centered around the practice of binge eating.> The Diagnostic and Statistical Manual of Mental Disorders, Fourth Edition (DSM-IV), describes diagnostic criteria for BN and includes the following:> Recurrent episodes of binge eating, characterized by the following:> Eating an amount of food, in a discrete period of time, that is larger than most people would eat during a similar period of time under similar circumstances.> A perceived lack of control over eating during the episode of binge eating> Recurrent inappropriate compensatory behavior used to prevent weight gain> Occurrence of binge eating and inappropriate compensatory behaviors, on average, at least twice a week for 3 months> Self-evaluation unduly influenced by body shape and weight> Does not occur exclusively during episodes of anorexia nervosa.